A cervical lesion should be restored if it is _____.
1. Carious
2. Very sensitive
3. Causing gingival inflammation
4. All of the above

Correct answer: 4. All of the above

Explanation: All of these factors indicate that a cervical lesion should be restored. In addition, if the lesion is large and the pulpal or gingival tissues are in jeopardy, it should be considered for restoration.